Gluteus medius is supplied by -
1. Superior Gluteal Nerve
2. Inferior Gluteal Nerve
3. Nerve to Obturator Internus
4. Nerve to Quadratus Femoris

Correct answer: 1. Superior Gluteal Nerve

Explanation: Superior gluteal nerve supplies gluteus medius and gluteus minimus. Inferior gluteal nerve supplies gluteus maximus.